Modified Cornoy's solution, used as a chemical cauterization agent, has which of these components missing from original Cornoy's solution?
1. Chloroform
2. Glacial acetic acid
3. Ferric chloride
4. Alcohol

Correct answer: 1. Chloroform

Explanation: 100% ethanol: chloroform: glacial acetic acid in 6:3:1 radio with ferric chloride. Modified versions are chloroform free, however their effectiveness is not clear.